Which of the following cancer makes up the majority in reproductive tract neoplasms during pregnancy?
1. Vaginal
2. Cervical
3. Uterine
4. Ovarian

Correct answer: 2. Cervical

Explanation: Cancer in the reproductive tract may also complicate pregnancy and of these cervical neoplasia makes up the majority.Cervical > Ovary > Uterus, Vulva or Vagina(Ref: William's Obstetrics; 25th edition)